Which of the following is related to mediastinal part of right lung?
1. Arch of aorta
2. SVC
3. Pulmonary trunk
4. Left auricle projects anteriorly to overlap the infundibulam of the right ventricle

Correct answer: 2. SVC

Explanation: Superior vena cava related to the mediastinal part of right lungB D CHOURASIAS HUMAN ANATOMY UPPER LIMB THORAX VOLUME, 1 SIXTH EDITION, Page no,236